To start with all fibroids are:
1. Interstitial
2. Submucous
3. Subserous
4. Ovarian

Correct answer: 1. Interstitial

Explanation: Ans. is a, i.e. InterstitialRef: Shaw 15th/ed p352* Most common variety of fibroid is intramural/interstitial (75%) followed by submucous (15%) and subserous (10%).* To start with all fibroids are intramural/interstitial.Q